For a group of n = 250 subjects, 40th percentile would be the following value-
1. 7th
2. 40th
3. 100th
4. 140th

Correct answer: 3. 100th

Explanation: Ref: Parks 23rd edition 40th percentile means 40% values are below that particular value . 40% of 250= 100